Which of the component of respiratory chain reacts directly with molecular oxygen?
1. Cyt b
2. CoQ
3. Cyt C
4. Cyt aa3

Correct answer: 4. Cyt aa3

Explanation: Complex IV: Cyt-c Oxidase The system functions: * As proton pump * Catalyses transfer of electrons to molecular O2 to form H2O. This is the terminal component of ETC. It catalyses the transfer of electrons from Cyt-c to molecular O2 Cyt-a, Cu++ ions and Cyt-a3.Ref: MN Chatterjea Textbook of Medical Biochemistry, 8th edition, page no: 142